Thiamin status of an individual can be detected by which of the following tests/enzymes in erythrocytes?
1. Transaldolase
2. Glucose-6-phosphatase
3. Transketolase
4. Enolase

Correct answer: 3. Transketolase

Explanation: Severe thiamine deficiency is associated with: Decreased RBC transketolase activity this is the earliest manifestation seen even before clinical disturbances Thiamin is a cofactor of Transketolase pyruvate, alpha-ketoglutarate and lactate level in blood increases in thiamine deficiency ref: DM Vasudevan 8th ed page 467